The defect Marfan syndrome is?
1. Fibrillin 1
2. Fibrillin 2
3. Fibrillin 3
4. Fibrillin 4

Correct answer: 1. Fibrillin 1

Explanation: * Fibrillin is the major component of extracellular microfibrils and is widely distributed in connective tissue throughout the body.# Mutations in the fibrillin-1 (FBN1) gene, on chromosome 15q21.1, have been found to cause Marfan syndrome, a dominantly inherited disorder characterised by clinically variable skeletal, ocular; and cardiovascular abnormalities.# Fibrillin-1 mutations have also been found in several other related connective tissue disorders, such as severe neonatal Marfan syndrome, dominant ectopia lentis, familial ascending aortic aneurysm, isolated skeletal features of Marfan syndrome, and Shprintzen-Goldberg syndrome.